Recurrent Neisseria infections are associated with deficiency of
1. C5
2. C6
3. C7
4. All of above

Correct answer: 4. All of above